Ureter develops from which of the following
1. Pronephros
2. Mesonephros
3. Metanephros
4. Mesonephric duct

Correct answer: 4. Mesonephric duct

Explanation: Ref. Gray’s anatomy.  41st edition. Page. 1253
 
FIrst, don't get carried away by option 2. We have a more specific answer option 4. Look at the below for verification 
The Pronephros

Is the cranialmost set of tubes, which mostly regress

The mesonephros

Is located along the midsection of the embryo and develops into mesonephric tubules and the mesonephric duct (Wolffian duct).
These tubules carry out some kidney function at first, but then many of the tubules regress.  However, the mesonephric duct persists and opens to the cloaca at the tail of the embryo.

The metanephros

Gives rise to the definitive adult kidney.
Develops from an outgrowth of the caudal mesonephric duct, the ureteric bud, and from a condensation of nearby renogenic intermediate mesoderm, the metanephric blastema